In Bilateral palsy of recurrent larygeal nerve there is
1. Complete loss of speech with steidor and dysphonia
2. Comlete loss of speech but no difficulty in breathing
3. Preserved speech with severe stridor and dyspnocr
4. Pressure speech with no difficulty of breating.

Correct answer: 3. Preserved speech with severe stridor and dyspnocr

Explanation: In BLL RLN palsy - VC is in median position, so speech preserved has stridor and dysphoea.